In congenital dacryocystitis which structure is blocked?
1. Upper lacrimal puncta
2. Lower lacrimal puncta
3. Lacrimal canaliculi
4. Nasolacrimal duct

Correct answer: 4. Nasolacrimal duct

Explanation: - Inflammation of lacrimal sac - Dacryocystitis - In congenital dacryocystitis, most common site of obstruction is lower end of nasolacrimal duct, usually near valve of Hasner. CONGENITAL DACRYOCYSTITIS :- Occurs in approximately 5% of normal newborn infants.- Rate of spontaneous resolution is upto 90%- Presents with epiphora within few weeks of birth- Important differential diagnosis of watering in infants is congenital glaucoma Treatment :- Observation, Lacrimal massage, topical antibiotics.- If not responding, probing can be attempted after 12 months of age.- If symptoms persist despite 2 technically satisfactory probings, it may be necessary to perform DCR between 3-4 years of age. Also remember, - Inflammation of lacrimal gland - Dacryoadenitis